The number of cafe au lait macules as one of the diagnostic criteria for adult neurofibromatosis is
1. 1
2. 2
3. 4
4. 6

Correct answer: 4. 6

Explanation: Answer- D. 6l.5 cm orlarger in individuals past puberty0.5 cm or larger in individuals before puberty.